which is not a granulomatous diseae
1. Leprosy
2. TB
3. Sarcoidosis
4. Amebiasis

Correct answer: 4. Amebiasis